Most common false neurological sign is:
1. Wasting of hands
2. Abnormal unilateral pupil
3. Diplopia
4. Unilateral papilledema

Correct answer: 3. Diplopia

Explanation: Diplopia REF: Journal of Neurology, Neurosurgery Psychiatry 2003; 74:415-418 Doi:10.1136/ jnnp.74.4.415, Neurological signs have been described as "false localizing" if they reflect dysfunction distant or remote from the expected anatomical locus of pathology. False localizing signs occur in two major contexts: as a consequence of raised intracranial pressure, and with spinal cord lesions. Cranial nerve palsies (especially sixth nerve palsy), hemiparesis, sensory features (such as truncal sensory levels), and muscle atrophy, May all occur as false localizing signs. Sixth nerve palsies are the most common false-localizing sign of raised intracranial pressure. In one series of 101 cases of IIH, 14 cases were noted, 11 unilateral and 3 bilateral. Sixth nerve palsy, or abducens nerve palsy, is a disorder associated with dysfunction of cranial nerve VI (the abducens nerve), which is responsible for contracting the lateral rectus muscle to abduct (i.e., turn out) the eye. The inability of an eye to turn outward results in a convergent strabismus or esotropia of which the primary symptom is double vision or diplopia in which the two images appear side-by-side. The condition is commonly unilateral but can also occur bilaterally.